A 30 years old male reported with chief complaint of  constant radiating, gnawing pain that is intensified by eating spicy foods and chewing. He also reported a "metallic" foul taste and an excessive amount of "pasty"saliva. A general examination revealed fever and increased pulse rate. Intra-oral examination showed punched-out, crater like depressions at the crest of the interdental gingival papillae, covered by a gray pseudomembranous slough, in the upper anterior teeth.

Surgical procedure for severe tissue destruction in such infection is
1. Reshaping the gingiva (Gingivoplasty)
2. Resection of the gingiva (Gingivectomy)
3. Apically displaced flap surgery
4. Coronally displaced flap surgery

Correct answer: 1. Reshaping the gingiva (Gingivoplasty)